Role of P-selectin in inflammation
1. Rolling
2. Adhesion
3. Homing
4. Transmigration

Correct answer: 1. Rolling